Clinical features of sixth nerve palsy is:
1. Convergent squint
2. Divergent squint
3. Limitation in upward movement
4. Limitation in downward movement

Correct answer: 1. Convergent squint

Explanation: A i.e. Convergent squint